Most common type of Atrial septal defect is
1. Ostium primum
2. Ostium secundum
3. Cushion defect
4. Endocardial hypertrophy

Correct answer: 2. Ostium secundum

Explanation: The atrial septal defect can occur in any portion of the atrial septum(secundum, primum or sinus venosus)OSTIUM SECUNDUM:Most common type of ASD accounts for 7% of al congenital heart disease.Defect situated at fossa ovalis.Associated with structurally normal atrioventricular (AV)valves.OSTIUM PRIMUM/ ENDOCARDIAL CUSHION DEFECT:Defect situated inferior to fossa ovalis.Associated with the cleft in AV valves.Most common cardiac lesion in Down's syndrome is endocardial cushion defect.